Prevalance of tuberculosis infection is determined by-
1. Sputum examination
2. Mantoux
3. Clinical examination
4. MMR

Correct answer: 2. Mantoux